Heimlich valve is used for drainage of-
1. Pneumothorax
2. Hemothorax
3. Emphyema
4. Malignant pleural effusion

Correct answer: 1. Pneumothorax